Congenital laryngeal stridor is also known as:
1. Laryngomalacia
2. Quinsy
3. Laryngotracheobronchitis
4. Laryngeal web

Correct answer: 1. Laryngomalacia

Explanation: (a) Laryngomalacia(Ref. Current Diagnosis & Treatment Otolaryngology, Lalwani, 3rd ed., 481; Scott Brown, 8th ed., Vol 2; 333)Quinsy is Peritonsillar abscess.Laryngotracheobronchitis also known as croup is a viral infection most commonly caused by parainfluenza virus.Laryngeal web is a rare congenital malformation characterised by incomplete canalisation of larynx.